Latent fingerprints can be made visible by
1. Ultraviolet spectrum lightning
2. Application of powder
3. Cyanoacrylate fuming
4. All of the above

Correct answer: 4. All of the above

Explanation: Latent prints are those that are left behind interaction of palms,hands and feet the environment.Ocassionally these prints are left cleanly so as to be clearly visible to the unaided It is more often that the prints are partially visible or not visible at all without using special fingerprint processing methods and equipment Powders used : White :lead carbonate Black :Charcoal Grey:Aluminium dust Methods to enhance fingerprints *lighting -ultraviolet ,white light *physical-dusting a surface with a powder of contrasting color *chemical -ninhydrin, silver nitrate Reference :essentials of Forensic Medicine and toxicology PG no 3,vol 3